Krabbes disease is due to deficiency of -
1. Sphingomyelinase
2. Beta galactocerebrosidase
3. Hexosaminidase
4. Aryisulfatase

Correct answer: 2. Beta galactocerebrosidase

Explanation: Ans. is 'b' i.e., Beta gaiactocerebrosidase DiseaseEnzyme deficiencyLipid accumulatedTay-sach diseaseHexosaminidase AGM, gangliosideSandoff diseaseHexosaminidase BGM,gangliosideNiemann-Pick diseaseSphi ngomyel inaseSphingomyelineFarber's diseaseCeram idaseAcyl-sphingosine (ceramide)Fabry's diseasea-galactosidaseGlobotri sy IceramideKrabbe's diseaseb-galactosidase(Galactosylceramidase)GalactosvlceramideGaucher's diseaseb-gl ucosidase (gl ucoccrebrosi dase)Glueosy IceramideMetachromatic leukodystrophyArylsulfatase A3-Suffoga!actosy!ceramide